Active immunity is not acquired by which of the following ?
1. Infection
2. Vaccination
3. Immunoglobulin transfer
4. Subclinical infection

Correct answer: 3. Immunoglobulin transfer

Explanation: - Immunoglobulins - provide passive immunity Active immunity: - Protective response mounted by a person's own immune system after clinical / subclinical infection / vaccination. - Comprises humoral / cellular immune responses Passive immunity: - Ready-made protection against disease provided by introduction of preformed animal/ human antibodies into the human body Passage of IgG from mother to fetus through placenta Transmission of secretory IgA in breast milk Administration of Antisera